Reparative granuloma of jaw is treated by
1. Antibiotics
2. Wedge resection
3. Resection and bone grafting
4. Curettage

Correct answer: 4. Curettage

Explanation: Reparative granuloma of jaw is treated by curettage Giant Cell Reparative Granuloma Giant cell reparative granuloma is an apparently Reactive intraosseous lesion of the mandible and maxilla following trauma induced intraosseous hemorrhage and containing prominent giant cells Also known as central giant cell granuloma MC site : Anterior part of mandible (2/3rd of cases) between the 2nd premolar and 2nd molar with extension across the midline 2nd MC site : Small bones of hands and feet Clinical features It is a disease of the young presenting as a painless swelling in the anterior jaw and Radiographically appearing as a lytic expansile lesion with a characteristic Tendency of reabsorbing the root of tips of adjacent unerupted teeth Treatment Curettage or local excision Recurrence rate : 22-50% Lesion Eradication typically does not require >2 excision Chemical cautery, electrocautery, cryotherapy, calcitonin, Interferon alpha and intralesional steroids are used for more aggressive and recurrent lesions Ref: medind.nic.in/ibn/t06/i4/ibnt06i4p677